MHC class II antigens are located on which of the following cells:
1. Platelets
2. Dendritic cell
3. RBC
4. T-cell

Correct answer: 2. Dendritic cell

Explanation: B i.e. Dendritic cells